All statements are true for osteomalacia except:
1. Loosers zone on X-ray
2. Commoner in females
3. Raised serum calcium
4. Muscular weakness

Correct answer: 3. Raised serum calcium

Explanation: Ans: C i.e. Raised serum calcium Osteomalacia Looser's zone (pseudofractures) are radiolucent zones occurring at the sites of stress in osteomalacia (commonly at pubic rami) Osteomalacia is more common in women who live in "purdah" & lack exposure to sunlight Serum calcium & phosphate is low & alkaline phosphatase is high Muscular weakness (The patient feels very weak. He may difficulty in climbing up & down the stairs)